Persistence of Moro's reflex is abnormal beyond the age of ________
1. 3rd month
2. 4th month
3. 5th month
4. 6th month

Correct answer: 4. 6th month

Explanation: Moro's reflex disappears by 3 - 6 months in normal infants. Persistence of the reflex after 6 months is abnormal and is common in children with MR without motor disturbance including Down's syndrome and in children with CP of the athetoid type. It is also sometimes observed in children with a severe brain malformation or with CP of the spastic type, encephalopathy, hydrocephaly, injury of the cerebral or the pyramidal tract. Reference: GHAI Essential pediatrics, 8th edition